Persistent diarrhea in infants -
1. 7 days
2. 14 days
3. 21 days
4. 1 month

Correct answer: 2. 14 days

Explanation: Ans. is 'b' i.e., 14 days DIARRHEA IN CHILDRENDiarrhoea- It is the passage of liquid or watery stool more than three times a day, However it is the recent change in consistency of stools rather than the number of stools that is the more important feature.Persistent diarrhea- It is defined as diarrhoea of presumed infectious origin that begins acutely and lasts for 14 days or more (2-4 weeks).Chronic diarrhea- Diarrhea lasting >4 weeks.Dysentery- Characterized by the presence of blood and pus in the stools, abdominal cramps and fever.o In India, rotavirus and ETEC accounts for nearly half the total diarrheal episodes among children.